73. According to the "rule of nine" in burns, what is the percentage of burns if both the upper limbs and lower limbs are involved?
1. 24%
2. 6%
3. 54%
4. 72%

Correct answer: 3. 54%